The recommended monthly limit to the fetus is
1. 0.05 mSv
2. 0.1 mSv
3. 0.5 mSv
4. 2 mSv

Correct answer: 3. 0.5 mSv

Explanation: The NCRP recommends a monthly limit of 0.5 mSv (50 mrem) to the embryo or fetus once a woman declares her pregnancy. In contrast to this, the ICRP recommends a limit of 2 mSv (200 mrem) to the surface of the woman's abdomen (lower trunk) for the remainder of the pregnancy. These recommendations are essentially similar and are designed to limit the risk of intellectual disability, other congenital malformations, and carcinogenesisReference: Eric J Hall Textbook of Radiobiology for Radiologist; 5th edition